All of the following infections have carrier states, EXCEPT:
1. Measles
2. Diptheria
3. Typhoid
4. Gonorrhea

Correct answer: 1. Measles

Explanation: Due to inadequate immune response or inadeqaute treatment, there is formation of a carrier state as there is elimination of the infective agent. Depending on the duration, the carrier can either ne temporary or chronic. A chronic carrier is one who excretes the infectious agent for indefinite periods. Among the given options, measles does not have any carrier state as the only source of infection for measles is the case of measles itself. Ref: Park's Textbook of Preventive and Social Medicine 19th edition; pages 90 and 127.